True about apoptosis is all except
1. Programmed cell death
2. Associated gene is BC12
3. Inflammatory process
4. None

Correct answer: 3. Inflammatory process

Explanation: Ans. c (Inflammatory process). (Ref. Robbin, Pathology, 6th ed., 2, 4, 18).APOPTOSIS - ("Falling-off") is programmed cell death.It occurs in following settingso During development o As homeostatic mechanism to maintain cell population o As defence in immune reaction o When cells are damaged by disease/noxious agents o In agingIt is characterized byo 2 phases = Initiation and Execution o Cell shrinkage o Chromatin condensation o Cytoplasmic blebs and apoptotic bodies o In contrast to necrosis, apoptosis does not elicit inflammation.E.g.o Fas-Fas ligand mediated apoptosis. o TNF- induced apoptosis, o Cytotoxic T-lymphocyte stimulated apoptosis, o DNA damage mediated apoptosis, o Gene mediated bcl2 apoptosis.